A lady with 37 weeks pregnancy, presented with bleeding per vagina. Investigation shows severe degree of placenta previa. The treatment is:
1. Immediate C S
2. Blood transfusion
3. Conservative
4. Medical induction of labor

Correct answer: 1. Immediate C S

Explanation: Ans. is a, i.e. Immediate C.S.Ref. Dutta Obs 7/e, p 249, 250; Fernando Arias 3/e, p 337, 339As Explained in the previous question- Patient presenting with bleeding, at 37 weeks of gestation with central placenta previa, management should be immediate emergency cesarean section.